Most common skin manifestation seen after 2 days of radiation therapy is –
1. Erythema
2. Atopy
3. Hyperpigmentation
4. Dermatitis

Correct answer: 1. Erythema

Explanation: Erythema is the earliest manifestation followed by desquamation.